Which one of the following is the most common tumor to produce metastasis to cervical lymph nodes?
1. Glottic carcinoma
2. Nasopharyngeal carcinoma
3. Carcinoma base of tongue
4. Carcinoma lip

Correct answer: 2. Nasopharyngeal carcinoma

Explanation: Ans. is 'b' i.e. Nasopharyngeal carcinoma